Substance that is used for vertebroplasty is:
1. Polymethyl methacrylate
2. Polyethyl methacrylate
3. Polymethyl ethacrylate
4. Polyethyl ethacrylate

Correct answer: 1. Polymethyl methacrylate

Explanation: (a) Polymethyl methacrylate- Vertebroplasty and kyphoplasty are interventional radiologic procedures for the treatment of the intense pain refractory to medical management or bracing caused by vertebral compression fracture associated with osteoporosis, tumors, and trauma.- Vertebroplasty and kyphoplasty involve intraosseous injection of acrylic cement- polymethyl methacrylate under local anesthesia and fluoroscopic guidance.